Peyer's patches are present in:
1. Duodenum
2. Jejunum
3. Ileum
4. Colon

Correct answer: 3. Ileum

Explanation: Ans. C. IleumPeyer's patches are small masses of lymphatic tissue found throughout the ileum region of the small intestine. Also known as aggregated lymphoid nodules, they form an important part of the immune system by monitoring intestinal bacteria populations and preventing the growth of pathogenic bacteria in the intestines.